Chandler Index is 225. What is the interpretation?
1. Potential danger to community
2. No danger
3. Minor public health problem
4. Major public health problem

Correct answer: 1. Potential danger to community

Explanation: Chandler Index This is the average number of hookworm eggs per gram of faeces for the entire community (Average number of eggs per gram of stools). (Ref. Park PSM 18thed.195)